Mallory hyaline changes seen in all except?
1. Wilson's disease
2. Indian childhood cirrhosis
3. Primary biliary cirrhosis
4. Hepatitis E

Correct answer: 4. Hepatitis E

Explanation: Mallory Hyaline changes- globular red hyaline material visualized within hepatocytes in: Intestinal bypass Wilson's disease Biliary cirrhosis Indian childhood cirrhosis Cholestatic jaundice Focal nodular hyperplasia Hepatocellular carcinoma N.A.S.H